Drug of choice in Amoebic liver abscess besides metronidazole is:
1. Ciprofloxacin
2. Chloroquine
3. Mebendazole
4. Bephenium Naphthoate

Correct answer: 2. Chloroquine